Which of the following cells secrete HCL?
1. Surface Neck Cells
2. Mucous Neck Cells
3. Parietal Cells
4. Chief Cells

Correct answer: 3. Parietal Cells

Explanation: Parietal Cell secretes HCL and intrinsic factor Chief Cells secrete Pepsinogen and Gastric Lipase G cells secrets gastrin NO GOBLET CELLS IN GASTRIC GLANDS